Index of potency of general anesthesia ?
1. Minimum alveolar concentration
2. Diffusion coefficient
3. Dead space concentration
4. Alveolar blood concentration

Correct answer: 1. Minimum alveolar concentration

Explanation: Ans. is 'a' i.e., Minimum alveolar concentration Minimal alveolar concentration It is the lowest concentration of the anaesthetic in pulmonary alveoli needed to produce immobility in response to a painful stimulus (surgical incision) in 50% individuals. It is the measure of potency of inhalation GAs